Commonest cause of anovulatory infertility -
1. PCOS
2. TB
3. Endometriosis
4. Thyroiddysfunction

Correct answer: 1. PCOS

Explanation: Ans. is 'a' i.e., PCOS Cause of female infertilityo Ovarian (3(M0%> PCOD {10%)o Tubal blockage (35-30%)o Uterine factors (10%)o Pelvic causes (5%)o Cervical causes (5%)o Unexplained infertility- (15%)